Niemann-Pick disease is?
1. AR
2. AD
3. X-linked
4. Mitochondrial

Correct answer: 1. AR

Explanation: Ans. is 'a' i.e., AR All lysosomal storage disease are autosomal recessive, except Hunter syndrome and Fabry's disease, both of them are X-linked recessive.